Ring of fire on USG signifies?
1. H. mole
2. Ectopic pregnancy
3. PCOD
4. Aneuploidy

Correct answer: 2. Ectopic pregnancy

Explanation: Ans. is'b'i.e., Ectopic pregnancyThe ring of fire sign also known as ring of vascularity signifies a hypervascular lesion with peripheral vascularity on colour or pulsed doppler examination of the adnexa due to low impedance high diastolic flow.This sign can be seen inCorpusluteum cyst (more commonly)Ectopic pregnancy